Kupffer cells present in the adult liver are derived from
1. Mesoderm
2. Endoderm
3. Ectoderm
4. Neuroectoderm

Correct answer: 1. Mesoderm

Explanation: Kupffer cells are actually macrophages and are derived from mesoderm. Hepatocytes and the epithelial lining of the intrahepatic biliary tree are derived from endoderm diverticulum of forgut.